All are seen in hemobilia except
1. Shock
2. Colicky pain
3. Melena
4. Jaundice

Correct answer: 1. Shock